Which of the following is the first-line therapy for fulminant ulcerative colitis (UC)?
1. Cyclosporine
2. Sulfasalazine
3. Methotrexate
4. Steroids

Correct answer: 4. Steroids

Explanation: Ans. D. Steroids* With fulminant ulcerative colitis the goal is to decrease inflammation as soon as possible. Oral prednisolone may be used or IV prednisolone can be used if poor absorption is a problem.* Sulfasalazine is used to control mild to moderate disease and should NOT be used for severe UC. Cyclosporine may be used for refractory UC, but it is not a first-line therapy.